A recurrent bilateral conjunctivitis occurring with the onset of hot weather in young boys with symptoms of burning, itching, and lacrimation with polygonal raised areas in the palpebral conjunctiva is –
1. Trachoma
2. Phlyctenular conjunctivitis
3. Mucopurulent conjunctivitis
4. Vernal kerato conjunctivitis

Correct answer: 4. Vernal kerato conjunctivitis

Explanation: Information in this question are :-

Recurrent bilateral conjunctivitis
In hot weather
Burning, itching & lacrimation
Polygonal raised area on palpebral conjunctiva

Diagnosis is vernal keratoconjunctivitis.